A 6 year old female patient complains of pain due to a decayed lower right 2nd molar. During the treatment, patient becomes uncooperative and throws a tantrum. The dentist defers the treatment and reschedules the appointment and plans to substitute a high speed hand piece with a slow speed hand piece. The example demonstrated by the dentist falls under which type of conditioning, as described by Skinner?
1. Positive reinforcement
2. Negative reinforcement
3. Omission
4. Punishment

Correct answer: 2. Negative reinforcement

Explanation: As an example, a child who views a visit to the hospital clinic as an unpleasant experience may throw a temper tantrum at the prospect of having to go there. If this behavior (response) succeeds in allowing the child to escape the visit to the clinic, the behavior has been negatively reinforced and is more likely to occur the next time a visit to the clinic is proposed. The same can be true, of course, in the dentist's office. If behavior considered unacceptable by the dentist and his staff nevertheless succeeds in allowing the child to escape from dental treatment, that behavior has been negatively reinforced and is more likely to occur the next time the child is in the dental office. In dental practice, it is important to reinforce only desired behavior, and it is equally important to avoid reinforcing behavior that is not desired.